Pain relief in acupuncture is mediated by ?
1. Endogenous opioids
2. Kinins
3. Substance P
4. PGs

Correct answer: 1. Endogenous opioids

Explanation: Ans. is 'a' i.e., Endogenous opioids Question is straight and simple. Among the given options, only endogenous opioids are analgesic. Other three are pain producings substances. "The effects of acupuncture are mediated partly by the endogenous opioid system" Key concept in health phychology. Needling during acupuncture activates high threshold receptors and/or their afferents (A-delta and C). These generates segmental and extrasegmental modulation of nociceptive inputs. The mechanisms of pain relief are :- i) Activation of descending pain inhibitory pathways. ii) Release of endogenous opioids. iii) Positive feedback neural circuitry in the mesolimbic region of the brain. Acupuncture also affects autonomic nervous system.